Menngococcal Vaccine -
1. ACW135Y
2. ABCW135
3. CYW135B
4. ABCY

Correct answer: 1. ACW135Y

Explanation: Meningococcal vaccine:- Currently available meningococcal vaccines include polysaccharide vaccine and polysaccharide protein conjugate vaccine. The conjugate vaccines are more immunogenic and also induce immunogenic memory. Both vaccines are available against meningococci of serogroup A,C,W135 and Y. Polysaccharide vaccine- Bivalent- A and C Trivalent-A,C ,W135 Quadrivalent- A,C, W135 and Y. Administration-single dose to persons>2 years old subcutaneously. Conjugate vaccine- given intramuscularly in deltoid or Anterolateral aspect of thigh. Monovalent vaccine - single dose to individuals 1-29 years of age. Storage- 2-8 degree celcius. Both vaccine safe during pregnancy. {Reference: park's textbook of preventive and social medicine, 23rd edition, pg no.167}